Nerve of Latarjet is seen in
1. Thorax
2. Neck
3. Stomach
4. Heart

Correct answer: 3. Stomach

Explanation: The nerve of Latarjet or the posterior nerve of the lesser curvature is a branch of the anterior vagal trunk which supplies the pylorus. BD CHAURASIA S HUMAN ANATOMY Vol 3